Clinical sign that is always positive in bone fracture is
1. Crepitus
2. Tenderness
3. Abnormal mobility
4. All of the above

Correct answer: 2. Tenderness